The haematopoetic injury occurs at a dose of:
1. 2-7 Gy
2. 7-15 Gy
3. 40-50 Gy
4. > 50 Gy

Correct answer: 1. 2-7 Gy

Explanation: Acute radiation syndrome:

2–7 Gy – Haematopoietic injury
7–15 Gy – Injury
> 50 Gy – CVS / CNS